Dinner fork deformity is seen in?
1. Colle's fracture
2. March fracture
3. Lateral condyle fracture
4. Supracondylar fracture

Correct answer: 1. Colle's fracture

Explanation: Ans. is 'a' i.e., Colle's fracture Complications of colle's fracture Complications in colle's fracture are high (50-60%). Following complications may occur 1) Stiffness of fingers and joints Stiffness of finger, wrist and shoulder is the most common avoidable complication of colle's fracture. This occurs due to lack of exercise. Therefore, patient should be encouraged for active exercise of finger and shoulder. 2) Malunion It is the second most common complication It results in dinner fork deformity 3) Sudek's osteodystrophy (reflex sympathetic dystrophy) 4) Carpal tunnel syndrome: Median nerve may get compressed in carpal tunnel 5) Carpal instability 6) Rupture of the extensor pollicis longus tendon 7) Frozen shoulder syndrome This is a troublesome complication which develops due to unnecessory voluntary shoulder immobilization by the patient on the affected side for fear of fracture displacement. 8)TFCC injury 9) Non-union is very rare